All of the following are used in endometriosis except.
1. Progesterone
2. Danazol
3. GnRH agonist
4. Estrogen

Correct answer: 4. Estrogen

Explanation: Ans. is d, i.e. EstrogenEndometriosis is as hyperestrogenic condtion so all drugs which directly or indirectly decreased estrogen are used in managing it, not estrogen itself.